Stain which differentiates cryptococcus from other fungus ?
1. Gram Stain
2. Wright-Giemsa
3. India ink
4. Toluidine blue

Correct answer: 3. India ink

Explanation: Ans. is 'c' i.e., India ink Unstained wet preperations of CSF mixed with drop of India ink or nigrosine demonstrate the capsule as a clear halo. Methenamine silver or periodic acid-Schiff are used for staining a tissue sample.